Kaposi sarcoma is caused by -
1. Human herpes virus-2
2. Human herpes virus-4
3. Human herpes virus-6
4. Human herpes virus-8

Correct answer: 4. Human herpes virus-8

Explanation: Ans. is 'd' i.e., Human herpes virus-8 Important virusesDisease causedo HHV-8Kaposi sarcomaoHHV-6Roseola infantum, multiple sclerosiso VZVChicken pox, herpes zostero EBVIMN, burkitis lymphoma, oral hairy leukoplakia, nasopharyngeal carcinomao Enterovirus-72Hepatitis Ao Coxsackie-AHerpangina, hand-foot-mouth diseaseo Coxsackie-BPleurodynia, myocarditis, pericarditis, Bornholm diseaseo OrthomyxovirusInfluenzao ParamyxovirusesMumps, measles, parainfleuenzao HIVAIDSo JC virusProgressive multifocal leukoencephalopathyo RhabdovirusRabiesoHPVWarts, condyloma accuminatum, cervical cancero ParvovirusErythema infectiosum, aplastic anemia, fetal hydrops